The technique used for aspiration of sperm directly from testes for in vitro fertilization is
1. TESA
2. MESA
3. GIFT
4. IVF

Correct answer: 1. TESA

Explanation: MESA and TESA are both techniques of sperm aspiration but since the question specifically asks about aspiration directly from the testes, TESA is the most appropriate answer here.Ref: Clinical Gynecologic Endocrinology and Infertility; 8th edition; Section IV; Infertility